In spinal anaesthesia, the drug is deposited between –
1. Dura and arachnoid
2. Pia and arachnoid
3. Dura and vertebra
4. Into the cord substance

Correct answer: 2. Pia and arachnoid

Explanation: In spinal anesthesia LA is injected into subarachnoid space (space between pia matter and arachnoid matter).